Renal artery stenosis is associated with -
1. High renin Hypertension
2. Normal renin hypertension
3. Low renin hypertension
4. Fibrinoid necrosis of vessels

Correct answer: 1. High renin Hypertension

Explanation: Ans. is 'a' i.e., High renin Hypertension o The association of High aldosterone and High Renin levels in a hypertensive patient with hypokalemia suggests a diagnosis of Secondary' Hyperaldosteronism offrom Renal Artery Stenosis. Hypertension and hypokalemia |Plasma renin activity (PRA)Plasma aidoesterone concentration (PAC)|||| PRA| PACPAC-PRA ratio = 10| PRA| PACPAC-PRA ratio 5 20andPac >15 ng/dL (> 416 pmol/L)| PRA| PAC|||Investigate for causesof secondary hyperaldosteronismInvestigate forInvestigate for ||| Primary aldosteronismCongenital adrenal hyperplasia Exogenous mineralcorticoid DOC-producing tumor Cushing's syndrome 11 -beta-HSD deficiency Altered aldosterone metabolism Liddle's syndrome Glucocorticoid resistanceRenovascular hypertension Diuretic useRenin-secreting tumor Malignant hypertension Coarctation of the aorta DiseasesAldosteroneCortisolReninPrimary' Aldosteronism (Conn syndrome)HighNormalLowSecondary' Aldosteronism (e.g. Renal Artery Stenosis)HighNormalHighAdrenal insufficiency (Addison disease)LowLowHighCashing syndromeLow (may be normal)HighLow